BIRAD's Score is designed to
1. Maintain uniformity in the reporting of imaging findings of various breast diseases
2. Prognosticate CA Breast
3. Evaluate the effect of brachial artery thrombosis
4. Clinicoradiological association of breast malignancy

Correct answer: 1. Maintain uniformity in the reporting of imaging findings of various breast diseases

Explanation: Answer- A. Maintain uniformity in the reporting of imaging findings of various breast diseasesBIRADS stands for Breast Imaging-Reporting and Data System. It's a quality assurance tool developed by American college of Radiology.The system is designed to standardize both the reporting of imaging findings and the recommendations for further management.